Characteristic finding in muscular dystrophy is -
1. Inflammatory cell infiltrate
2. Heterogenicity of fiber size
3. Nuclear proliferation beneath sarcolemma
4. All

Correct answer: 2. Heterogenicity of fiber size

Explanation: Ans. is 'b' i.e., Heterogenicity of fiber size Histological findings of muscular dystrophy i) Variation (hetrogenicity) in fiber size. ii) Increased number of internalized nuclei. iii) Degeneration, necrosis and phagocytosis of muscle fibers. iv) Regenration of muscle fibers. v) Proliferation of endomysial connective tissue.